Transamination of pyruvate with glutamate leads to:
1. Oxaloacetate and aspartate
2. Alanine and aspartate
3. Oxaloacetate and alpha ketoglutarate
4. Alanine and alpha ketoglutarate

Correct answer: 4. Alanine and alpha ketoglutarate

Explanation: Transamination, a chemical reaction that transfers an amino group to a ketoacid to form new amino acids. This pathway is responsible for the deamination of most amino acids.